Virulence of gonococci is due to -
1. Pili
2. Endotoxin
3. Exotoxin
4. None

Correct answer: 1. Pili